Epleys maneuvear -
1. Positional vertigo
2. Otosclerosis
3. ASOM
4. CSOM

Correct answer: 1. Positional vertigo

Explanation: Ans. is 'a' i.e., Positional vertigoo Epley's maneuver (vestibular exercise) is used in BPPV.Treatment of BPPVo The definitive treatment of BPPV requires that crystals causing inflammation in the semicircular canals should 1 removed.o This can be done by the Eplev maneuvers (vestibular exercise), where the head is taken through a series of positic changes that allow the crystals to be emptied out of the canal.o Several medications, including common motion sickness remedies, may relieve symptoms of BPPV and may be us< for less severe episodes of vertigo or in addition to the Epley maneuvers,o These medications are meclizine, dimenhydramine, diazepam.o Surgery for BPPV is reserved for the most severe cases which are intractable and which are not associate with other pathology.o Posterior semicircular canal occlusion is the simplest procedure w hich addresses the cause of the dizziness its source.o The posterior semicircular canal is surgically plugged. This prevents any loose particles from causing vertigo.